The child rolls over by -
1. 3 months
2. 5 months
3. 7 months
4. 8 months

Correct answer: 2. 5 months

Explanation: Ans. is 'b' i.e., 5 months Age Milestone 3 Month Neck holding 5 Month Rolls over 6 Month Sit with support 8 Month Sit without support 9 Month Stand with support 12 Month Stand without support Walk with support 15 Month Walk alone, creep upstair